Hand and foot syndrome is an adverse effect of:
1. 5-Fluorouracil
2. Bleomycin
3. Etoposide
4. Actinomycin D

Correct answer: 1. 5-Fluorouracil

Explanation: Capecitabine and 5-FU can cause hand and foot syndrome. Diarrhea is the most common adverse effect of 5-FU. 5-FU can also cause bone marrow suppression. Drugs commonly implicated are: Capecitabine 5-Fluorouracil Cytarabine Pemetrexed Doxorubicin